Enzyme dificient in alkaptonuria -
1. Kynureninase
2. Tyrosine hydroxylase
3. Homogentisate oxidase
4. Tyrosinase

Correct answer: 3. Homogentisate oxidase

Explanation: Ans. is 'c' i.e., Homogentisate oxidase Metabolic diseaseEnzyme deficientMaple syrup urine diseaseBranched chain ketoacid dehydrogenaseMethyl-melonic aciduriaMethyl-malonyl CoA mutase (isomerase)Sweaty feet odor in bodyIsovaleryl-CoA dehydrogenaseTvrosinemia I (Tyrosinosis)Fumarylacetoacetate hydroxylaseTyrosinemia IITyrosine transaminase (Tyrosine aminotransferase)Neonatal tyrosinemiaHydroxyphenyl pyruvate hydroxylaseAlbinismTyrosinaseAlkaptonuriaHomogentisate oxidasePhenylketonuriaPhenylalanine hydroxylaseOrotic aciduriaOMP decarboxylaseHomocystinuriaCystathionine svnthataseLesh-Nyhan syndromeComplete deficiency of enzyme HGPRTCystinosisCystine reductase